Marker for active HBV ?
1. HBsAg
2. HBcAg
3. JgM anti HBSAg
4. IgG anti HBSAg

Correct answer: 1. HBsAg

Explanation: Davidson's principles and practice of medicine 22nd edition. *HBs Ag is an indicator of active infection and a negative test for HBs Ag makes HBV infection very unlikely.HBcAg is not found in blood but antibody to it appeared in the blood.